The El Tor biotype of vibrio cholerae was first isolated from:
1. India
2. Egypt
3. Bangladesh
4. Pakistan

Correct answer: 2. Egypt

Explanation: The El Tor biotype was first isolated at the El Tor quarantine station in Egypt in 1905. Ref: Park 21st edition, page 207.